The best screening test for hemophilia -
1. PT
2. CT
3. PTT
4. BT

Correct answer: 3. PTT

Explanation: Answer is option 3,PTT Doctors may order the PTT test as part of an evaluation for a bleeding disorder such as hemophilia or von Willebrand disease. Symptoms of a bleeding disorder can include easy bruising, nosebleeds that won't stop, excessive bleeding after dental procedures, gums bleeding easily, heavy menstrual periods, blood in the urine, or swollen or painful joints. Even in the absence of symptoms, doctors may use the test to ensure that clotting ability is normal before a patient undergoes a major procedure such as surgery. Ref Robbins 9/e pg 450-451